All of the following are true about Pemphigus vulgaris except:
1. Antibodies are present against Dsg-1 and Dsg-3
2. Buccal mucosa is also involved
3. Nikolsky sign negative
4. Histopathology "shows row of tombstone" appearance

Correct answer: 3. Nikolsky sign negative

Explanation: Nikolsky sign is positive in P.vulgaris, that is lateral pressure on normal skin around active lesions can give rise to new blisters because of extension of seperation between the layers of epidermis.